Not a part of bony labyrinth?
1. Cochlea
2. Vestibule
3. Utricle
4. Semicircular canal

Correct answer: 3. Utricle

Explanation: The inner ear within the petrous part of temporal bone consists of a membranous labyrinth enclosed in a bony (osseous) labyrinth. So, inner ear has two parts : ? 1) Bony labyrinth :- Cochlea, Vestibule, Semicircular canals. 2) Membranous labyrinth :- Cochlear duct, utricle, Saccules, three semicircular ducts, and endolymphatic duct & sac.